Drug causing Nephrogenic diabetes insipidus are all except-
1. Lithium
2. Demeclocycline
3. Acyclovir
4. Amphotericin B

Correct answer: 3. Acyclovir

Explanation: Nephrogenic diabetes insipidus is characterised by unresponsiveness of renal tubules to ADH. It is caused by genetic defects, metabolic abnormality like hypokalemia, hypercalcemia, drugs like Lithium, Demeclocycline, Methoxyflurane, Amphotericin B, Aminoglycosides, Cisplatin, Rifampin, Foscarnet, vascular, obstruction of ureter or urethra, granulomas, neoplasms etc.. Reference : page 2277 Harrison's Principles of Internal Medicine 19th edition